TB spine most commonly affects?
1. Lumbar vertebra
2. Cervical
3. Thoracic
4. Sacral

Correct answer: 3. Thoracic

Explanation: ANSWER: (C) ThoracicREF: Tuberculosis of skeletol system SM tuli 3rd e p, 192Important points about skeletal TBMost commonSite: vertebralSite in vertebra: lowerthoracic or dorsolumbar Route of spread: hematogenousType: paradiscalSymptom: back pain